Aniridia is associated with -
1. Retinoblastoma
2. Hepatoblastoma
3. Nephroblastoma
4. Medulloblastoma

Correct answer: 3. Nephroblastoma

Explanation: Congenital aniridia (Iridremia) -Refers to congenital absence of iris (true aniridia) i.e., complete absence of iris is extremely rare. Usually, a peripheral rim of iris is present and this condition is called Clinical aniridia. This may be associated with glaucoma due to angle anomalies. It is associated with nephroblastoma (Wilms tumour) WAGR syndrome- Wilms tumour Aniridia Genitourinary anomalies mental Retardation.